The Antiepileptic drug, Phenytoin therapeutic blood level is
1. 0-9 mcg/ml
2. 10-19 mcg/ml
3. 20-29 mcg/ml
4. 30-39 mcg/ml

Correct answer: 2. 10-19 mcg/ml

Explanation: (B) 10-19 mcg/ml# SERUM PHENYTOIN LEVELS:> Therapeutic range is 10-20 mcg/mL.# Total phenytoin levels (mcg/mL) - Typical corresponding Signs & Symptoms: Lower than 10- Rare Between 10 and 20 - Occasional mild nystagmus Between 20 and 30 - Nystagmus Between 30 and 40 - Ataxia, slurred speech, nausea, and vomiting Between 40 and 50 - Lethargy and confusion Higher than 50 - Coma and seizures